Regarding premalignant oral lesions True is
1. Leukoplakia should be proved by biopsy
2. Leukoplakia dose not disappear after cassation of smoking
3. Erythroplakia has a higher risk for malignancy
4. Oral submucous fibrosis is seen in all parts of the world

Correct answer: 3. Erythroplakia has a higher risk for malignancy